Citrate as a sole source of carbon is utilized by
1. Staphylococcus
2. Salmonella
3. Shigella
4. Escherichia

Correct answer: 2. Salmonella

Explanation: Citrate is used by salmonella as sole source of carbon But citrate test positive: Salmonella Typhimurium Salmonella Paratyphi A is citrate negative Ref: Elmer W Koneman 5th ed Pg 186